Commonest dangerous complication of posterior dislocation of knee is-
1. Popliteal artery injury
2. Sciatic nerve injury
3. Ischaemia of lower leg compartment
4. Femoral artery injury

Correct answer: 1. Popliteal artery injury

Explanation: Dislocation of the knee- *This rare injury results from severe violence to the knee so that all of its supporting ligaments are torn. *It is a major damage to the joint, and is often associated with injury to the popliteal artery. *Treatment is by reduction followed by immobilization in a cylinder cast. Clinical evaluation : (vascular exam) -Measure Ankle-Brachial Index (ABI) if ABI >0.9 >>>> then monitor with serial examination if ABI <0.9 >>>> -If pulses are absent or diminished confirm that the knee joint is reduced or perform immediate reduction and reassessment - Immediate surgical exploration if pulses are still absent following reduction 'schema time >8 hours has amputation rates - If pulses present after reduction then measure ABI then consider observation vs. angiography Clinical evaluation : (vascular exam) -Priority is to rule out vascular injury on exam both before and after reduction serial examinations are mandatory. - Palpate the dorsalis pedis and posterior tibial pulses if pulses are present and normal , >> it does not indicate absence of arterial injury. Ref: Maheshwari 9th ed p.142